A patient was presented with sudden onset of fever, headache, retro orbital pain, and back pain along with the severe body pain. Macular rash was present. Clinical diagnosis of dengue fever was made. Which of the following is the most sensitive diagnostic test in this patient?
1. IgM ELISA
2. CFT
3. Tissue culture
4. Electron microscopy

Correct answer: 1. IgM ELISA

Explanation: Laboratory findings include leukopenia, thrombocytopenia, and, in many cases, serum aminotransferase elevations. The diagnosis is made by IgM ELISA or paired serology during recovery or by antigen-detection ELISA or RT-PCR during the acute phase. Virus is readily isolated from blood in the acute phase if mosquito inoculation or mosquito cell culture is used. Ref: Peters C.J. (2012). Chapter 196. Infections Caused by Arthropod- and Rodent-Borne Viruses. In D.L. Longo, A.S. Fauci, D.L. Kasper, S.L. Hauser, J.L. Jameson, J. Loscalzo (Eds), Harrison's Principles of Internal Medicine, 18e.